The technique of laparoscopic cholecystectomy was first performed by:
1. Erich Muhe
2. Phillip Moure
3. Kurt Semm
4. Eddie Reddick

Correct answer: 1. Erich Muhe

Explanation: Prof Dr Erich Muhe of Boblingen, Germany, performed the first laparoscopic cholecystectomy in 1985. Dr Eddie Reddick reported 100 cases of laparoscopic choecystectomy in 1989. First laparoscopic appendectomy was performed in 1980 by Kurt Semm.